Kissing disease is also known as
1. Scarlet fever
2. Acute herpetic gingivostomatitis
3. Glandular fever
4. Rubella

Correct answer: 3. Glandular fever